After a transient ischemic attack, chances of stroke are maximum in
1. First 48 hours
2. First 10 days
3. First 1 month
4. First 5 months

Correct answer: 1. First 48 hours

Explanation: Answer-A. First 48 hoursThe largest study of risk of recurrent stroke after TIA showed that 50% of all ischemic strokes after TIA occur within 48 hours of the TIA.TIAs are episodes of stroke symptoms that last only briefly < 24h, but most TIAs last < 1 h.The risk of stroke after a TlA is- 1O - 15% in the first 3 months,with most events occurring in the first 2days.